Which of the following statements about Leptospirosis is true
1. Rats are prime reservoirs
2. Fluoroquinolones are the drug of choice
3. Person to person Transmission is common
4. Hepatorenal syndrome may occur in upto 50% of patients.

Correct answer: 1. Rats are prime reservoirs